Neologism is characteristic of :
1. OCD
2. Mania
3. Bipolar disorder
4. Schizophrenia

Correct answer: 4. Schizophrenia

Explanation: Ans. D. SchizophreniaNeologisms:Refers to a new word or condensed combination of several words that is not a true word & is not readily understandable, although sometimes the intended meaning or partial meaning may be apparent.Feature of schizophrenia(thought & speech disorder)